Verocay bodies are seen in
1. Memingioma
2. Hemangioma
3. Glioma
4. Shwannoma

Correct answer: 4. Shwannoma

Explanation: Schwannoma are well circumscribed encapsulated masses that abut the associated nerve without invading it